The position used for bimanual examination in the out-patient department is :
1. Lithotomy placenta
2. Sims position Supine positionSims position
3. Dorsal position with thighs flexed
4. Supine position

Correct answer: 3. Dorsal position with thighs flexed

Explanation: Dorsal position with thighs flexed